Ligamentum teres develops from
1. Umbilical artery
2. Umbilical vein
3. Ductus venosus
4. Portal radicles

Correct answer: 2. Umbilical vein

Explanation: Umbilical vein "In anatomy, the round ligament of liver (AKA: ligamentum teres - or more specifically ligamentum teres hepatis as the human body has three round ligaments in total) is a degenerative string of tissue that exists in the free edge of the falciform ligament of the liver. The round ligamentrepresents the remnant of the fetal left umbilical vein"